Which among the following infections in children is usually associated with vesicular rash:
1. Measles
2. Dengue
3. Hand-foot-mouth disease
4. Rubella

Correct answer: 3. Hand-foot-mouth disease

Explanation: Vesicular Rash Common association Chickenpox, enteroviral infections (hand-foot-mouth disease) Uncommon Herpes simplex, herpes zoster